In the rejection phenomenon after kidney transplant, the primary target for early immunological attack is -
1. Vascular endothelium
2. Renal papillae
3. Glomeruli
4. Proximal tubules

Correct answer: 1. Vascular endothelium

Explanation: Ans. is 'a' i.e., Vascular endothelium